All are true about immunosuppressants except?
1. Tacrolimus inhibits calcineurin pathway
2. Steroids binds to cytosolic receptors and heat shock proteins
3. Mycophenolate inhibits purine synthesis GMP dehydrogenase
4. Sirolimus will block kinase in the IL-2 receptor pathway

Correct answer: 3. Mycophenolate inhibits purine synthesis GMP dehydrogenase

Explanation: Ans. is 'c' i.e., Mycophenolate inhibits purine synthesis GMP dehydrogenase o Mycophenolate inhibits purine synthesis inosine monophosphate (IMP) dehydrogenase (not GMP dehydrogenase). About other options o Tacrolimus enters target cells and binds to FKBP. The complex then inhibits calcineurin response of the helper T cell to antigenic stimulation fails. o Glucocorticoids bind cytosolic receptors and heat shock proteins, block transcription of IL-1, 2, 3, 6, IFN-y and TNF-cs o Sirolimus complexes with FkBP -12 and then blocks p7deg S6 kinase in the IL-2 receptors pathway for proliferation.